Which one of the following is not a feature of Phenylketonuria ?
1. Severe intellectual disability
2. Reduced tendon reflexes
3. Enamel hypoplasia
4. Vomiting in early infancy

Correct answer: 2. Reduced tendon reflexes

Explanation: Reflexes are hyperactive.